Gs alpha mutation is associated with all Except
1. Mc-cune Albright syndrome
2. Pitutary adenomas
3. Pseudohypoparathyroidism
4. Papillary carcinoma thyroid

Correct answer: 4. Papillary carcinoma thyroid

Explanation: In Papillary carcinoma there are mutations in RET , BRAF, NTRK1 genes but not in Gs alpha. Ref: Robbins and cotrans 9e Pg 1095